Which of the following is not present in azurophil granules of neutrophil?
1. Defensins
2. Myeloperoxidase
3. Acid hydrolases
4. Lactoferrin

Correct answer: 4. Lactoferrin

Explanation: Lactoferrin is present in secondary/specific granules. Neutrophils have two main types of granules:- The smaller specific (or secondary) granules contain:- The larger azurophil (or primary) granules contain:- Lysozyme Collagenase Lactoferrin Plasminogen activator Histaminase Alkaline phosphatase Myeloperoxidase Bactericidal factors (defensins) Acid hydrolases A variety of neutral proteases (elastase, cathepsin G, non-specific collagenases, proteinase 3).